Probing depth of a pocket is assessed by:
1. Williams probe
2. Nabers probe
3. DNA probe
4. RNA probe

Correct answer: 1. Williams probe